Cardiac output is measured by all EXCEPT?
1. Doppler
2. Oscillometry
3. Thermo-dilution method
4. Fick's principle

Correct answer: 2. Oscillometry

Explanation: Ans. B OscillometryRef: Ganong, 25th ed. pg. 543DopplerBased on acoustics of sound wavesThermodilution methodCold Saline is injected into right atrium and temperature change in blood is recorded in pulmonary artery. The temperature change in pulmonary artery shall be inversely related to blood flow.Pick's principleAmount of substance taken up by an organ is equal to arterial level of substance minus the venous level of substance times the blood flow.